A baby born at term develops abdominal distention in the first week of life. Meconium ileus is diagnosed. Subsequently the infant has persistent steatorrhea and fails to develop normally. Which of the following laboratory test findings is most likely related to the infant's underlying disease:
1. Decreased serum thyroxine level
2. Positive HIV serology
3. Elevated sweat chloride
4. Increased urine homovanillic acid level

Correct answer: 3. Elevated sweat chloride

Explanation: The findings are typical for cystic fibrosis, which is an inherited defect in chloride transport. Cretinism from hypothyroidism results in impaired CNS and skeletal development. A baby with congenital HIV infection may have a variety of infections. The increased urine homovanillic acid is a failure of neuroblastoma. a mass lesion that could also cause bowel obstruction but not meconium ileus. Neonatal jaundice has a variety of causes including the inherited disorder called galactosemia.